Gum hypertrophy is seen in which type of AML?
1. Myelogenous leukaemia
2. Myelomonocytic leukaemia
3. Megakaryocytic leukaemia
4. Erythroleukemia

Correct answer: 2. Myelomonocytic leukaemia

Explanation: Infiltration of the gingivae, skin, soft tissues, or the meninges with leukemic blasts at diagnosis is characteristic of the monocytic subtypes (M4 and M5). Significant gastrointestinal bleeding, intra-pulmonary hemorrhage, or intracranial hemorrhage occur in M3 AML. Bleeding associated with coagulopathies occur in M5 AML.